Ohgren's line passes from
1. Medial canthus to angle of mandible
2. Lateral canthus to angle of mandible
3. Medial canthus to mastoid process
4. Lateral canthus to mastoid process

Correct answer: 1. Medial canthus to angle of mandible

Explanation: A theoretic line passing between the medial canthus of the eye and the angle of the mandible; used as an arbitrary dividing line in classifying localized tumours of the maxillary sinus; tumours above the line invade vital structures early and have a poorer prognosis, whereas those below the line have a more favourable prognosis. It is an imaginary plane drawn, extending between medial canthus of eye and angle of the mandible. (Ref: Textbook of diseases of ENT, PL Dhingra, 7th edition, pg no. 233)